True about significant variable decelerations is:
1. Drop in fetal heart rate to less than 90 bpm for 60 seconds
2. Drop in fetal heart rate to less than 100 bpm for 60 seconds
3. Drop in fetal heart rate to less than 80 bpm for 60 seconds
4. Drop in fetal heart rate to less than 70 bpm for 60 seconds

Correct answer: 4. Drop in fetal heart rate to less than 70 bpm for 60 seconds

Explanation: Ans. is d, i.e. Drop in fetal heart rate to less than 70 bpm for 60 seconds Classification of variable decelerationDecelerationDefinitionMild variable deceleration>80 bpm irrespective of duration, or <30 seconds irrespective of depth or between FHR-70 to 80 bpm lasting for 60 secondsModerate variable deceleration>70 bpm lasting for 30 to 60 seconds or between FHR-70 to 80 bpm lasting for > 60 secondsSevere variable deceleration< 70 bpm lasting for 60 seconds